All can cause reiters syndrome except
1. yersinia enterocolitica
2. Campylobacter jejuni
3. Salmonella
4. Staphylococcus epidermidis

Correct answer: 4. Staphylococcus epidermidis

Explanation: Reiters syndrome/ flies singer-Leroy disease: traid of urethritis , arthritis conjunctivitis Genetic predisposition: hla b 27 Causative organisms: Chlamydia trachomatis Salmonella Campylobacter Yersinia Shigella Clostridium diff iCal earth Clinical features: chronological appearance First manifestations: urethritis,conjunctivitis Arthritis Circulate Balan it is Arthritis: asymmetric , oligoarticular-predilection to lower extremity large joints, enthesitis( inflammation of tendons and ligaments at the sites of insertion into capsule or bone),sacroilitis. Rapid development of massive effusions. Sausage digitis-diffuse swelling of solitary finger or toe Joints: early morning stiffness and pain. Genitourinary: nonspecific urethritis, cervicitis, cystitis, hematuria, hydronephrosis,prostatitis, bartholinitis,vaginitis, salpingitis Eye lesions: conjunctivitis,uveitis,iridocyclitis Cutaneous: keratoderma blemorrhagicum-hyper keratotic pustular lesions on erythematous base involving palms and soles.crusted thick horny lesions with thick scales circulate Balanitis-most common irregular moist superficial erosions or ulcers coalesce to form circinate lesions. ulceration over tongue-painless Cardiac: aortic is and heart block Renal- glomerulonephritis Investigations: Elevated acute phase reactants Elevated esr Jointfluid-pseudo sepsis- neutrophils>50000/ul, with reiters cells Radiology: enthesitis with periosteum reaction, asymmetric sacroilitis, spondylitis, non marginal syndesmophytes Conditions to be differentiated from reactive arthritis Treatment Arthritis: Physiotherapy, nsaids,indomethacin is the drug of choice. Dmards-sulfasalazine, methotrexate,hydroxychloroquine,prednisolone,acitretin in hiv patients Biological: infliximab,etanercept Cyclosporine, levamisole,gold,pencillamine. Skin and mucus membranes: topical keratolytis, topical corticosteroids,methotrexate,acetretin Iadvl textbook of dermatology